Which heart diseases is most commonly associated with rubella infection -
1. PDA
2. VSD
3. ASD
4. Eisemenger's syndrome

Correct answer: 1. PDA

Explanation: Ans. is 'a' i.e., Patent ductus arteriosus Patent ductus arteriosus is the most common congenital heart disease associated with rubella, followed by pulmonary artery stenosis. o Heart disease in congenital Rubella PDA > PS > VSD > ASD.